Pure motor paralysis is seen in :
1. Polio
2. Gullien Barre syndrome
3. Diabetes mellitus
4. Sub-Acute Combined Degeneration

Correct answer: 1. Polio

Explanation: Answer is A (Polio): Poliomyelitis affects the (interior horn cells and causes a pure motor neuropathy.